Sever congenital neutropenia syndrome is also known as:
1. Kostmann syndrome.
2. Chediak higashi syndrome.
3. Aldrich syndrome.
4. Fanconi syndrome

Correct answer: 1. Kostmann syndrome.